Orthodromic conduction is
1. An axon can conduct impulse in one direction only
2. An axon can conduct impulse in both direction
3. The jumping of depolarization from node to node
4. The print at which a runaway spike potential

Correct answer: 1. An axon can conduct impulse in one direction only

Explanation: In the natural situation, impulses pass in one direction only, ie from synaptic junctions or receptors along axons to their termination. Such conduction is called orthodromic conduction. Ref: Ganong's review of medical physiology; 23rd edition; pg:88